Drug useful in breast cancer is ?
1. Tamoxifen
2. Cyproterone
3. Testosterone
4. Chlorambucil

Correct answer: 1. Tamoxifen

Explanation: Ans. is 'a' i.e., Tamoxifen Pharmacotherapv of breast cancer Many breast carcinomas possess estrogen receptors Estrogen promotes their growth. Drugs which decrease the action of estrogen on breast CA by one or other mechanisms, can be used in breast CA. Drugs used in Breast cancer Selective estrogen receptor modulators (SERMs) - Tamoxifen, Tromifene. Selective estrogen receptor down regulators (SERDs) - Fulvestrant Aromatase inhibitors - Letrozole, anastrozole, exemestone LHRH (GnRh) analogues Aminoglutethemide High doses progesterones - Megastrol acetate.